Low CSF protein may be seen in all conditions, Except:
1. Recurrent Lumbar Puncture
2. Hypothyroidism
3. Pseudotumor cerebri
4. Infants

Correct answer: 2. Hypothyroidism

Explanation: B i.e. Hypothyroidism